Young female with painless, mobile lump of 4 cm in a breast. Diagnosis is?
1. Breast abscess
2. Breast cyst
3. Fibroadenoma
4. Peau dorange

Correct answer: 3. Fibroadenoma

Explanation: Ans. (c) FibroadenomaRef: Sabiston 19th ed. / 827* Fibroadenoma aka Breast mouse is the most common benign tumor of breast.* It is MC seen in young age group females (15-30 yrs)* Clinically, it is slow growing, painless solitary mass, which is mobile in nature (that's why known as breast mouse).* IOC: FNAC* Upon mammography: Popcorn calcification